"Chovestek's sign" is seen in:
1. Hypocalcemia
2. Hypercalcemia
3. Hypokalemia
4. Hyperkalemia

Correct answer: 1. Hypocalcemia

Explanation: (Hypocalcemia): Ref: 777-778-CMDT-09Hypocalcemia - Sign & Symptoms* Extensive spasm of skeletal muscle causes cramps and Tetany* Laryngospasm with stridor can obstruct the airway* Convulsions can occur as well as parasthesias of lips and extremities and abdominal pain* Chvostek's sign (contraction of the facial muscle in response to tapping the facial nerve anterior to the ear)* Trousseau's sign: - (carpal spasm occurring after occlusion of the brachial artery with a blood pressure cuff for 3 minutes)* Prolongation of the QT interval (due to lengthened ST segment) predisposes to the development of ventricular arrhythmias